Nodes of Rouviere -
1. Retropharyngeal node
2. Parapharyngeal node
3. Adenoids
4. None

Correct answer: 1. Retropharyngeal node

Explanation: Retropharyngeal nodes are divided into medial and lateral groups.
Most superior node of the lateral group is called the node of Rouviere. 

Also know

Krause's node :- Lymph nodes situated at the jugular foramen.